Function of space maintainers
1. Prevent supra eruption of opposite tooth
2. Prevent migration of teeth
3. Maintain space
4. All of the above

Correct answer: 4. All of the above